Enzyme deficiency in albinism is:
1. Tyrosinase
2. Tyrosine hydroxylase
3. Phenylalanine hydroxylase
4. Homogentisate oxidase

Correct answer: 1. Tyrosinase

Explanation: Ans. A. TyrosinaseAminoaciduriaEnzyme deficiencyAlbinismTyrosinasePhenyl KetonuriaPhenylalanine hydroxylaseAlkaptonuriaHomogentisate OxidaseHomocystinuriaCystathionine Beta SynthaseMaple syrup Urine DiseaseBranched Chain ketoacid Dehydrogenase